Xanthurenic acid is the metabolite in the metabolism of
1. Uric acid
2. Xanthine
3. Tryptophan
4. Uronic acid

Correct answer: 3. Tryptophan

Explanation: 3-Hydroxy Kynurenine is one of the intermediate in tryptophan catabolism, which gets converted to next intermediate and this conversion requires vitamin B6/ PLP. So, in B6 deficiency, this reaction does not occur and 3-Hydroxy Kynurenine is diverted to form alternate metabolite, Xanthurenic acid (See fig), which is excreted in urine